Drugs used for day care surgery are all Except
1. Propofol
2. Sevoflurane
3. Doxacurium
4. Desflurane

Correct answer: 3. Doxacurium

Explanation: Drugs useful for day care surgeryPropofolSevoflurane, desflurane & isofluraneAlfentanilMidazolam Mivacurium(Refer: Morgan and Mikhail's Clinical Anaesthesiology, 5th edition, pg no. 214,219)